All are involved in MEN II A except:-
1. Pituitary
2. Parathyroid
3. Thyroid
4. Adrenal

Correct answer: 1. Pituitary

Explanation: - Pituitary gland is not involved in MEN II A MEN-Multiple Endocrine Neoplasia syndromes: MEN 1 (WERMER SYNDROME): MEN II A (SIPPLE SYNDROME) MEN 2B P - Pituitary hyperplasia/adenoma P - Parathyroid hyperplasia/adenoma P - Pancreatic hyperplasia /adenoma/Neuroendocrine tumor H- Hirschsprung disease A- Amyloidosis P- Pheochromocytoma P- Parathyroid hyperplasia /Adenoma Y- Thyroid carcinoma (medullary) P - Pheochromocytoma M - Medullary thyroid carcinoma M - Mucosal & GI neuromas M - Marfanoid features